All of the following statements about NK cells are true except -
1. They are derived from large granular cells
2. They comprise about 5% of human peripheral lymphoid cells
3. They are MHC restricted cytotoxic cells
4. They express IgG Fc receptors

Correct answer: 3. They are MHC restricted cytotoxic cells

Explanation: Ans. is 'c' i.e., They are MHC restricted cytotoxic cells